Liquefactive necrosis is typically seen in
1. Ischemic necrosis of the heart
2. Ischemic necrosis of the brain
3. Ischemic necrosis of the intestine
4. Tuberculosis

Correct answer: 2. Ischemic necrosis of the brain

Explanation: Ans. (b) Ischemic necrosis of the brain